In primary atypical pneumonia inflammatory cells accumulate in -
1. Alveolar lumen
2. Bronchioles
3. Alveolar wall
4. Pleural space

Correct answer: 3. Alveolar wall

Explanation: Inflammatory infiltrates are virtually localized within the walls of the alveoli.